Dichotomy means -
1. Erasure of name
2. Disclosure of secrets of patients
3. Fee-splitting
4. Adultery

Correct answer: 3. Fee-splitting

Explanation: Dichotomy means fee splitting or bribery or commissioning.
Receiving commissions on referral of a patient to a doctor or forwarding commissions, both are included under dichotomy.
Dichotomy is infamous conduct as defined under the rules and regulations of MCI, 2002.
If a doctor repeatedly indulges in dichotomy, a warning notice could be issued against him, if he still indulges in dichotomy, his name could be erased from the medical register and it is called as professional death sentence.